Operant conditioning in which pain stimulus are given to a child for decreasing a certain undesired behavior can be classified as:
1. Positive reinforcement
2. Negative reinforcement
3. Punishment
4. Negotiation

Correct answer: 3. Punishment

Explanation: Punishment is decrease in frequency of a behavior due to unpleasant consequences. Positive reinforcement - Frequency of behavior increases because it leads to positive consequences. Negative reinforcement- Frequency of behavior increases as it is followed by negative consequence.eg cleaning room to avoid scolding. All above three are types of operant conditioning.